True about clavulanic acid is?
1. b lactamase inhibitors
2. Extended spectrum penicillin
3. Gram negative bacteria
4. Plasmid inhibitors

Correct answer: 1. b lactamase inhibitors

Explanation: ANSWER: (A) b lactamase inhibitorsREF: Katzung 9th ed p. 1064Beta-Lactamase Inhibitors (Clavulanic Acid, Sulbactam, & Tazobactam)[?] These substances resemble -lactam molecules but themselves have very weak antibacterial action. They are potent inhibitors of many but not all bacterial lactamases and can protect hydrolyzable penicillins from inactivation by these enzymes.[?] The indications for penicillin- -lactamase inhibitor combinations are empirical therapy for infections caused by a wide range of potential pathogens in both immunocompromised and immunocompetent patients and treatment of mixed aerobic and anaerobic infections, such as intraabdominal infections.[?] Clavulanic acid or clavulanate, usually combined Kith amoxicillin (Augmentin) or ticarcillin[?] Sulbactam, usually combined with ampicdlin[?] Tazobactam, usually combined with piperacillin